ADA specification number for Resin Based Restorative material is:
1. 26
2. 27
3. 28
4. 30

Correct answer: 2. 27

Explanation: ANSI/ADA Specification No. 27—Resin-Based Filling Materials: 1997.
This standard specifies requirements for dental resin-based restorative materials supplied in a form suitable for mechanical mixing, hand mixing, or external energy activation.
Ref: Philip’s Science of Dental Materials , Anusavice , 11th edition